Nicoldoni sign is also known as:
1. Murray sign
2. Frei sign
3. Darner sign
4. Branham sign

Correct answer: 4. Branham sign

Explanation: Branham sign Nicoladoni sign* or Branham sign* Pressure on the artery proximal to an A-V fistula causes the swelling to diminish in size, a thrill or bruit to cease, the pulse rate to fall and the pulse pressure return to normal. Arteriovenous fistula (AVF) AVF may be congenital or acquired (by trauma of a penetrating wound, or surgically created for renal dialysis) Structural effect on veins Veins are arterialised*, they become dilated tortuous and thick walled. Physiological effects of fistula ? Increased pulse pressure (Increased systolic & decreased diastolic) Enhanced venous return result in Increased HR* and Increased CO*. Left ventricular enlargement and later cardiac failure may occur A congenital .fistula in the young may cause overgrowth of limb*. In the leg, indolent ulcers may result* from relative ischemia below the short circuit. Clinical signs A pulsatile swelling* A thrill on palpation* Continuous bruit on auscultation* Nicoladoni sign* or Branham sign* Pressure on the artery proximal to fistula causes the swelling to diminish in size, a thrill or bruit to cease, the pulse rate to. fall and the pulse pressure return to normal.